Following operations are used for genital prolapse except :
1. Fothergill's
2. Fenton's
3. Ward Mayo
4. Le Forte

Correct answer: 2. Fenton's

Explanation: Fenton's